"Thumb sign" in laterral X - ray neck seen in
1. Epiglottitis
2. Internal hemouhage
3. Carcinoma epiglottis
4. Saccular cyst

Correct answer: 1. Epiglottitis